A 26-year-old female presents for ante natal visit. She has a history of abortion in last pregnancy due to neural tube defect in the fetus. What is the amount of folic acid that should be prescribed to this female?
1. 4 micrograms per day
2. 40 micrograms per day
3. 400 micrograms per day
4. 4000 micrograms per day

Correct answer: 4. 4000 micrograms per day

Explanation: Ans. (D) 4000 micrograms per day(Ref: Williams Obstetrics 24th/e p 1104; Nelson 19th/e p2001)All women of childbearing age and who are capable of becoming pregnant should take 0.4 mg (=400 mcg) of folic acid daily.If pregnancy is planned in high-risk women (previously affected child), supplementation should be started with 4 mg (= 4000 microgram) of folic acid daily, beginning 1 month before the time of the planned conception.